After coming head of breech will have difficulty in delivery in all of the following conditions except.
1. Hydrocephalus
2. Placenta previa
3. Incomplete dilatation of cervix
4. Extension of head

Correct answer: 2. Placenta previa

Explanation: -In placenta previa, if the baby has already delivered then its likely that the placenta was not type 4 and then the after coming head will deliver too. -It will be difficult to deliver in remaining conditions because In hydrocephalus the head is simply too big for the pelvic dimensions and often requires a craniocentesis or a craniotomy to decompress the head Incomplete dilatation acts as a grip on the fetal neck In extension of head due to the chin of the baby getting stuck on the sacrum or the symphysis